All are true for a group discussion except
1. Not a very effective method of health communication
2. Ideally a group should comprise of 6-12 members
3. Can lead to change in health attitudes and behaviour
4. Allows free exchange of ideas and opinions

Correct answer: 1. Not a very effective method of health communication